Dysphagia lusoria is due to -
1. Oesophageal diverticulum
2. Aneurysm of aorta
3. Oesophageal web
4. Compression by aberrant blood vessel.

Correct answer: 4. Compression by aberrant blood vessel.

Explanation: Dysphagia Lusoria is a disorder of swallowing caused due to vascular anomalies

Causes of Dysphagia Lusoria 

A right aortic arch
A double aortic arch
A vascular constricting ring formed by a PDA or a ligamentum arteriosum and the pulmonary artery or aortic arch.
An abnormal right subclavian artery. (Arteria lusoria)
An abnormal innominate artery.
Diagnosis is made by a lipoidal swallow or by arteriography.